Secondary allograft rejection is mediated by
1. Memory cells
2. Antibodies
3. Immune complexes
4. None of the above

Correct answer: 1. Memory cells

Explanation: Answer- A. Memory cellsAfter hlperacute rejection, transplantation of a second gfaft, which shares a significant number of antigenic determinants with the first one, results in a rapid (2 - 5 days) rejection. It is due to presence of T-lymphocyte sensitized during the first graft rejection(memory cells).